Following are spontaneous resolution tumours except-a) Malignant melanomab) Osteogenic sarcomac) Cholangio carcinomad) Retinoblastoma
1. a
2. c
3. bc
4. ad

Correct answer: 3. bc